False statement for Pyrexia of unknown origin:
1. Cause unknown despite more than 3 days of hospitalization
2. Cause unknown even after 3 OPD visits
3. Fever persisting after 1 month of regular treatment
4. Usually, fever more than 38.3 degree Celsius

Correct answer: 3. Fever persisting after 1 month of regular treatment

Explanation: Ans. C: Fever persisting after 1 month of regular treatment PUO was defined by Petersdorf and Beeson in 1961 as 1) temperatures of more than 38.3 degree C/ 101 degree F on several occasions; 2) a duration of fever of more than 3 weeks; 3) failure to reach a diagnosis despite 1 week of inpatient investigation The new definition is broader, stipulating 3 outpatient visits or 3 days on the hospital without elucidation of a cause or 1 week of intelligent and invasive ambulatory investigation